The process of transfer of cell mediated immunity from one individual to other is
1. Innate immunity
2. Acquired immunity
3. Herd immunity
4. Adoptive immunity

Correct answer: 4. Adoptive immunity

Explanation: Adoptive immunity occurs following injection of immunologically competent T-Lymphocytes known as transfer factor.